Agents most effective and better tolerated in management of onychomycosis ?
1. Griseofulvin and caspofungin
2. Griseofulvin and ketoconazole
3. Itraconazole and terbinafine
4. Ciclopirox and griseofulvin

Correct answer: 3. Itraconazole and terbinafine

Explanation: Onychomycosis does not respond to topical therapy, although ciclopirox olamine (recent NEET) nail lacquer applied daily for a year is occasionally beneficial. The 3 anti-fungals being increasingly used for Rx of onychomycosis are: Drug for Rx onychomycosis Dose Terbinafine 250 mg/day for 6 and 12 wks in fingernail and toenail onychomycosis respectively. Itraconazole Pulse therapy: 200 mg twice daily for 1 wk/month for 2 and 3 consecutive months for finger and toenail onychomychosis respectively. Continuous regimen: 200 mg/day for 6 wks. Fluconazole 150 mg wkly for maximum period of 12 months